Reabsorption of uterine septum in a fetus occurs by how many weeks of gestation normally
1. 20
2. 22
3. 24
4. 28

Correct answer: 1. 20

Explanation: Uterine Septum resorption occurs by 20 weeks of gestation.